The maximal increase of free histamine content occurs within how much time after injury
1. 10 minutes
2. 20 - 30 minutes
3. 1 hour
4. 2 hour

Correct answer: 2. 20 - 30 minutes

Explanation: The maximal increase of free histamine content occurs within 20 -30 minutes after injury. Biochemical timing of injury: It depends upon the measurement of histamine and serotonin contents of the injured tissue. Serotonin becomes maximum in about 10 min and histamine in 20-30 min after wounding. If the stroma is damaged ,tissue cathepsins increase immediately, can be demonstrated within 5 to 10 minutes Postmortem wounds do not show any increase.